In a patient with previous history of congestive cardiac failure, during dental treatment if he shows sign and symptoms. The preferable patient position should be:
1. Trendelenberg position
2. Upright position
3. Reverse trendelenberg position
4. Left lateral position

Correct answer: 2. Upright position